Osteoporosis is characterized by all the following except ?
1. Decreased bone mineral density
2. Decreased Serum Calcium, phosphorus and alkaline phosphatase is seen
3. Glucocorticoids can cause osteoposis
4. Dorsolumbar spine is the most coomon site of osteoporotic fracture

Correct answer: 2. Decreased Serum Calcium, phosphorus and alkaline phosphatase is seen

Explanation: Ans. is 'b' i.e., Decreased Serum Calcium, phosphorus and alkaline phosphatase is seen Osteoporosis is a state of decreased mass per unit volume of a normally mineralized bone. Osteoporosis is the commonest metabolic bone disease. Osteoporosis is characterized by an abnormally low bone mass (low bone density) and defects in bone structure, a combination of which renders the bone unusually fragile and at greater than normal risk of fracture. Bone depletion may be brought about by predominant bone resorption, decreased bone formation or a combination of the two.